The diameter of cervical canal after the complete dilation is :
1. 6 cms
2. 8 cms
3. 10 cms
4. 12 cms

Correct answer: 3. 10 cms

Explanation: 10 cms